A 20 yrs aged patient, presents in coma with pin point pupils and fasciculations but no fever. Most probable diagnosis is:
1. Head injury
2. Dhatura
3. Pontine haemorrhage
4. Organophosphorus poisoning

Correct answer: 4. Organophosphorus poisoning

Explanation: D i.e. Organophosphorus poisoning Pinpoint pupils (miosis) is seen in 'Bar Car OR Mor - Chlor' i.e. Barbiturates, Carbolic acid (Phenol), Organophosphorus, Morphine (Opioid), Choral hydrate.Q & Pontine haemorrhageQ So we are left with two options - Pontine haemorrhage & Organophosphorus. Not useful in Carbamate poisoning Useful in Organophosphorus poisoning - Physo / Pyrido / Riva/Neo - - ParathionQ & MalathionQ stigmineQ - Dyflos (DEP - D-iso fluro - Ambenonium & phosphateQ) EdrophoniumQ - Diazinon (TIK - 20) - Carabaryl (sevin) - EchothiophateQ - PropoxurQ (Baygon) - Tabun, Sarin, Soman - Demecarium - Donepezil